The cortical part of collecting duct is functionally similar to which part of kidney?
1. DCT
2. Thin ascending part of Henle loop.
3. Thick ascending part of Henle loop.
4. Medullary part collecting duct.

Correct answer: 1. DCT

Explanation: DCT.Collecting ducts has mainly 2 portions:Cortical portion of collecting duct.Medullary portion/Medullary Collecting Duct (MCD).PROCESS IN CORTICAL COLLECTING DUCT:Functionally similar to late segment of distal tubule.Facultative absorption type:Reabsorption of solutes/water depends on body water/electrolyte balance.Hence, facultative type.Cells involved in reabsopion:Principal (P) cells.Intercalated (I) cells.